Recommend time for using8% glulataraldehyde for pulpotomy:
1. 30sec
2. 1minute.
3. 2minute.
4. 4minute

Correct answer: 3. 2minute.

Explanation: 2%, 4% and 8% buffered glutaraldehyde solutions can be used. 
2% is used for pulpotomies in primary teeth.
The recommended time for 4% is 4 min and 8% is 2 min.